Disrobing a women comes under
1. 354 D
2. 354 A
3. 354 B
4. 354 C

Correct answer: 3. 354 B

Explanation: 354 A Sexual assault 354 B Disrobing a woman in a public place 354 C Voyeurism punishment 354 D Stalking punishment